Grenz zone is absent in which type of leprosy
1. TT
2. BT
3. BB
4. LL

Correct answer: 1. TT

Explanation: LEPROSY:- Ref:- Review of Dermatology by Alikhan; pg num:-303